All of the following are useful in the management of acute asthma except-
1. Hydrocortisone intravenously
2. Salbutamol inhalation
3. Salmeterol inhalation
4. Terbutaline inhalation

Correct answer: 3. Salmeterol inhalation

Explanation: Ans. is 'c' i.e., Salmeterol inhalation o Long acting beta agonists (LABA) has no role in acute attack of asthma.